All the following are characteristic feature of anaphylactic shock EXCEPT
1. Angioedema
2. Urticarial rash
3. Pedal edema
4. Flushing

Correct answer: 3. Pedal edema